Yellow or green pigmentation of teeth is seen in:
1. Erythroblastosis fetalis
2. Porphyria
3. Internal resorption
4. Nasmyth membrane

Correct answer: 1. Erythroblastosis fetalis